Cells most commonly affected in glaucomatous optic atrophy:
1. Amacrine cells
2. Bipolar cells
3. Ganglion cells
4. Rods and cones

Correct answer: 3. Ganglion cells

Explanation: Ans. c. Ganglion cells (Ref: Parsons, 21/e p280-281; www.ncbi.nlm.nih.gov. v.57(4): Jul-Aug 2009)Cells most commonly affected in glaucomatous optic atrophy are ganglion cells.'Glaucoma, the second leading cause of blindness, is characterized by changes in the optic disc and visual field defects. The elevated intraocular pressure was considered the prime factor responsible for the glaucomatous optic neuropathy involving death of retinal ganglion cells and their axons.'- wwv.ncbi.nlm.nih.govGlaucomaGlaucoma, the second leading cause of blindness, is characterized by changes in the optic disc and visual field defects.The elevated intraocular pressure was considered the prime factor responsible for the glaucomatous optic neuropathy involving death of retinal ganglion cellsQ and their axons.Glaucoma, a leading cause of irreversible visual loss, is characterized by loss of retinal ganglion cells (RGC)Q and their axons over a period of many years.Mainly the ganglions cellsQ are affected in glaucoma patients, which may lead to glaucomatus optic atrophy.Glaucomatous optic neuropathy is characterized by changes in the optic disc and visual field defects.The morphologic changes in the optic disc are in the form of thinning of neuroretinal rim, pallor and progressive cupping of the optic discQ.The hemorrhage-associated retinal nerve fiber layer defects precede measurable changes of the optic disc configurationQ.The visual field defects in glaucoma are often detected only after 40% of the axons are lostQ.